There has been an outbreak of food born salmonella gastroenteritis in the community and the stool samples have been received in the laboratory. Which is the enrichment medium of choice?
1. Cary Blair medium
2. VR medium
3. Selenite "F" medium
4. Thioglycollate medium

Correct answer: 3. Selenite "F" medium

Explanation: Selenite "F" medium is the enrichment medium of choice for Salmonella. Option 3 Selenite F- broth and Tetrathionate broth are commonly employed as Enrichment media for Salmonella. Option 1, 2 Transport medium for Vibrio: Cary Blair medium Venkatraman-Ramakrishnan (VR) medium Alkaline salt transport medium Autoclaved sea water. Option 4 Thioglycollate medium and RCM (Robertson's cooked meat media) broth = Anaerobic media.